Suicide tendency are common in
1. Mania
2. Depression
3. Schizophrenia
4. Obsessive compulsive disorder

Correct answer: 2. Depression

Explanation: B. (Depression) (236- 37 - Neeraj Ahuja 6th)SUICIDE is a type of deliberate self harm (DSH) and is defined as a human act of self - intentioned and self inflicted cessation (death) It ends with a fatal out comeRISK FACTORS FOR SUICIDE1. Age > 40 years2. Male sex3. Staying single4. Preveious suicidal attempts5. Depression (risk about 25 times more than usual)i. Presence of guilt, self - accusation agitation, nihilistic ideation, worthlessness, hypochondriacal delusions and severe insomniaii. More at the beginning or towards the end of a depressive episodes6. Suicidal preoccupation (eg a "suicide note" is written or detailed plans are made for committing suicide)7. Alcohol or drug dependence8. Severe disabling, painful or untreatable physical illness9. Recent serious-loss or major stressful life event10. Social isolation